An example of a tumour suppressor gene is ?
1. myc
2. fos
3. ras
4. Rb

Correct answer: 4. Rb

Explanation: Ans is 'd' i.e., Rb Protoncogenes/Oncogenes Growth factor genes: SIS, HST-1, INT-2, TGFa, HGF. Growth factor receptors genes: ERB-B 1 (ECFR), ERB-B2, FMS, RFT, PDGF-R, MT Genes for proteins involved in signal transduction: k-RAS, H-RAS, N-RAS, ABL, BRAF, p-catenin Genes for nuclear regulatory proteins: MYC (C-,N-, L-MYC), JUN, FOS Genes for cell cycle regulators: CYCLIN-D, CYCLINE-E, CDK4 Tumor suppressor genes Location Cell surface: TGF-P receptor, E-cadherin Inner aspect ofplasma membrane: NF-1 Cytoskeleton: NF-2 Cytosol: APC/P-catenin, PTEN, SMAD2 & SMAD4 Nucleus: RB, p53, WT-1, p16 (INk4a), BRCA1 & BRCA2, KLF 6